Second stage of labour is from:
1. Onset of contraction to rupture of membranes
2. Onset of contractions to full dilation
3. Rupture of membranes to delivery of fetus
4. Full dilatation to delivery of fetus

Correct answer: 4. Full dilatation to delivery of fetus

Explanation: Full dilatation to delivery of fetus